The following tests help in laboratory diagnosis of Kala-azar except-
1. Bone marrow examination
2. Immobilisation test
3. Blood smear examination
4. Aldehyde test

Correct answer: 2. Immobilisation test

Explanation: laboratory diagnosis of kala azar direct evidence peripheral blood smear Culture Bone marrow aspirations Splenic puncture Lymphnode aspirate Antigen detection Polymerase chain reaction Animal inoculation (Refer pgno:41 baveja 3 rd edition)